A 40-year male presenting with painful flaccid vesicles on the face and oral mucosa with asymmetric distribution. Immunofluorescence shows intercellular IgG deposition in the epidermis. Diagnosis is –
1. Erythema multifomiis
2. Bullous pemphigoid
3. Pemphigus vulgaris
4. Herpes zoster

Correct answer: 3. Pemphigus vulgaris

Explanation: In this patient (go stepwise)


No itching
Pain present (only two differentials, i.e. pemphigus and herpes zoster)
Flaccid vesicles on face
Mucosal involvement
Asymmetric distribution
Intercellular IgG in the epidermis


Diagnosis is pemphigus vulgaris